independent assoment of chromosomes occurs at which level ?
1. primordial germ cells to spermatogonia
2. spermatogonia to primary spermatocytes
3. primary spermatocytes to secondary spermatocytes
4. secondary spermatocytes to spermatids

Correct answer: 3. primary spermatocytes to secondary spermatocytes

Explanation: A This example shows just two pairs of homologous chromosomes in the nucleus of a diploid (2n) reproductive cell. Maternal and paternal chromosomes, shown in pink and blue, have already been duplicated. B Either chromosome of a pair may get attached to either spindle pole during meiosis I. With two pairs of homologous chromosomes, there are two different ways that the maternal and paternal chromosomes can get attached to opposite spindle poles. C Two nuclei form with each scenario, so there are a total of four possible combinations of parental chromosomes in the nuclei that form after meiosis I. ref : BD CHAURASIA / VISHRAM SINGH embryology